Gene for Rh antigen is located on chromosome:
1. 1
2. 19
3. 4
4. 9

Correct answer: 1. 1